After Intercourse, the Vaginal diaphragm should be removed :
1. Immediately
2. After 6-8 hours
3. After 24 hours
4. After 1 hour

Correct answer: 2. After 6-8 hours

Explanation: Vaginal diaphragm After intercourse, the vaginal diaphragm and vault cap should not be removed before 6-8 h of the last act and should not be kept for more than 24 h. Best time to introduce it is from a few minutes to 2 h before the sexual act, Spermicides must be used along with these devices. Contraindications: Prolapse, cystocele, rectocele because accurate fitting is not possible; Recurrent urinary tract infection and Allergy to rubber or spermicidal agent. Toxic shock syndrome (TSS) may occur if the diaphragm is left in the vagina for a long period